The activity of pyruvate carboxylase is dependent upon the positive allosteric effector
1. Succinate
2. AMP
3. Isocitrate
4. Acetyl Co A

Correct answer: 4. Acetyl Co A

Explanation: Pyruvate carboxylase is an allosteric enzyme. Acetyl CoA is an activator of pyruvate carboxylase so the generation of oxaloacetate is favored when acetyl CoA level is sufficiently high.Ref: DM Vasudevan, 7th edition, page no: 120